Which of the following is not an example of Phase II drug metabolic reaction?
1. Acetylation
2. Sulfation
3. Decyclization
4. Methylation

Correct answer: 3. Decyclization

Explanation: phase 1 reactions- oxidation, reduction, cyclization, decyclization and hydrolysis Phase II reactions: 1. Glucuronidation 2. Acetylation 3. Glutathione conjugation 4. Glycine conjugation 5. Sulfation 6. Methylation 7. Water conjugation Reference: Katzung Pharmacology; 13th edition; Chapter 4; Drug Biotransformation